Which of the following intravenous anaesthetic agent is highly protein bound and highly lipid soluble?
1. Etomidate
2. Barbiturates
3. Propofol
4. Ketamine

Correct answer: 3. Propofol

Explanation: Propofol is available only for intravenous administration for the induction of general anesthesia and for moderate to deep sedation. The high lipid solubility of propofol results in a fast onset of action. Because of its reasonably short elimination t1/2, propofol often is used for maintenance of anesthesia as well as for induction. Propofol is highly protein bound, and its pharmacokinetics may be affected by conditions that alter serum protein levels. The sedative and hypnotic actions of propofol are mediated by its action on GABAA receptors; agonism at these receptors results in an increased chloride conduction and hyperpolarization of neurons. Propofol is metabolized in the liver by conjugation to sulfate and glucuronide to less active metabolites that are renally excreted. Ref: Patel P.M., Patel H.H., Roth D.M. (2011). Chapter 19. General Anesthetics and Therapeutic Gases. In L.L. Brunton, B.A. Chabner, B.C. Knollmann (Eds), Goodman & Gilman's The Pharmacological Basis of Therapeutics, 12e.